Prosopagnosia is:
1. Inability to read
2. Inability to write
3. Anosmia
4. Inability to recognize face

Correct answer: 4. Inability to recognize face

Explanation: Occipital cortex have visual association Area Temporal cortex: remember that face (information) Both supplied By PCA if PCA blocks Patient unable to recognize face known as PCA territory stroke